Which of the following is the precursor of adrenaline and noradrenaline?
1. Phenylalanine
2. Tyrosine
3. Tryptophan
4. None of the above

Correct answer: 2. Tyrosine

Explanation: Tyrosine is the contributing amino acid for the formation of thyroxine, tri-iodothyronine, epinephrine, norepinephrine, dopamine and melanin